True about respiratory distress syndrome is all except:
1. Damage to type I/II pneumocyte
2. Histological feature is diffuse alveolar damage
3. Formation of hyaline membrane in this condition
4. Excellent response to oxygen therapy

Correct answer: 4. Excellent response to oxygen therapy

Explanation: In adult respiratory distress syndrome, there is damage to type-I / II pneumocytes as well as formation of hyaline membrane due to endothelial cell damage which increases vessel permeability - formation of membrane with fibrinogen-Hyaline appearance. Histological feature is diffuse alveolar damage. In such condition, oxygen given to patient cannot diffuse along the epithelial wall, so there is poor response to oxygen therapy.